Drug is absorbed rapidly in the following form
1. Aqueous solution
2. suspension
3. Oily solution
4. solid form

Correct answer: 1. Aqueous solution